All of the following muscles are supplied by the mandibular nerve except:
1. Masseter
2. Buccinator
3. Medial pterygoid
4. Anterior belly of digastric

Correct answer: 2. Buccinator

Explanation: Mandibular Nerve

Mandibular nerve is given at trigeminal ganglion at the floor of the middle cranial fossa and passes through the foramen ovale to enter the infratemporal region.
It supplies 8 muscles developing in first pharyngeal arch: 2 tensors (tensor tympani and tensor palati), 3 elevators of mandible (MTM: Masseter, Temporalis, Medial pterygoid) and 3 depressors of mandible (Lateral pterygoid, mylohyoid and anterior belly of digastric).
It provides sensory innervation to the lower teeth and gum and to the lower part of the face below the lower lip and the mouth.  

KEY CONCEPT:
Buccinator is a muscle of facial expression (IInd pharyngeal arch; facial nerve).